Ormocers are:
1. Organically modified ceramics
2. Inorganically modified ceramics
3. Organically modified Glass Inomer Cement
4. Inorganically modified Glass Inomer Cement

Correct answer: 1. Organically modified ceramics